All of the following histopathological changes are seen in psoriasis except?
1. Hyperkeratosis
2. Acanthosis
3. Dyskeratosis
4. Parakeratosis

Correct answer: 3. Dyskeratosis

Explanation: Dyskeratosis is premature &abnormal keratinization below the level of stratum corneum,seen in Bowen's disease,SCC,Dyskeratosis congenita.